The main types of muscle cells are
1. Skeletal and cardiac
2. Smooth and cardiac
3. Smooth and skeletal
4. All of the above

Correct answer: 4. All of the above